Noble prize for sequencing insulin aminoacid sequence & molecular structure was given to:
1. Banting & Macleod
2. Sanger
3. Charles Best
4. Paul Berg

Correct answer: 2. Sanger

Explanation: B i.e. Sanger